All are seen in ARDS, except :
1. Pulmonary edema
2. Decreased tidal volume
3. Hypercapnia
4. Decreased compliance

Correct answer: 3. Hypercapnia

Explanation: Answer is C (Hypercapnia): ARDS results in Type I Respiratory failure and is characterized by normal or low PaCO2 (Hypocapnia) and not Hypercapnia (see previous explanation on types of respiratory failure). ARDS (Acute Respiratory distress syndrome) ARDS is an acute form of lung injury characterized by: Increased permeability of alveolar capillary membrane. Diffuse alveolar damage. Accumulation of proteinaceous pulmonary edema (non cardiogenic pulmonary edema Q)